Nerve related to anatomical snuff box -
1. Ulnar
2. Median
3. Superficial branch of radial
4. Axillary

Correct answer: 3. Superficial branch of radial

Explanation: Ans. is 'c' i.e., Superficial branch of radial o Superficial branch of radial nerve passes through the roof of anatomical snuffbox. Anatomical Snuffbox Triangular depression on the dorsal and radial aspect of the hand become visible when thumb is fully extended, o Boundaries Medial/posterior - tendon of the extensor pollicis longus. Lateral/anterior - tendons of the extensor pollicis brevis and abductor pollicis longus. Roof - skin and fascia with beginning of cephalic vein and crossed by superficial branch of the radial nerve. Floor - styloid process of radius, trapezium scaphoid, and base of 1st metacarpal, o Contents - The radial artery.